Infant Eye is –
1. Myopic
2. Astigmatism
3. Hypermetropic
4. None

Correct answer: 3. Hypermetropic

Explanation: At birth, the eyeball is relatively short, having +2 to +3 hypermetropia.
This is gradually reduced until by the age of 5-7 years the eye is emmetropic (optically normal).